Bell's Palsy is characterized by
1. Bilateral involvement of the side of the face
2. Inability to whistle
3. No loss of muscular control
4. Closing of the eyes

Correct answer: 2. Inability to whistle

Explanation: Bell's palsy is an abrupt, unilateral, peripheral facial nerve paralysis. It is characterized by drooping of the corners of the mouth, watering of the eye, inability to close or wink the eye, absence of forehead wrinkles on the affected side, mask like expression less face, inability to whistle.